Green frothy vaginal discharge is produced by ?
1. Herpes simplex
2. Candida albicans
3. Trichomonas vaginalis
4. Normal vaginal flora

Correct answer: 3. Trichomonas vaginalis

Explanation: Ans. is 'c' i.e., Trichomonas vaginalis Trichomoniasis ? It is a sexually transmitted disease It is almost entirely a disease of child-bearing age The vaginal discharge is frothy, slightly green in colour and profuse. There are multiple punctate strawberry spots on the vaginal vault and portio vaginalis of cervix. Diagnosis : Culture is 98% reliable T/T : Metronidazole 200 mg T.D.S. for 7 days